A coin is loaded in the esophagus of an asymptomatic 3 year old female child. What is the treatment option in this child?
1. Immediate endoscopic removal
2. Wait for 48 hours
3. Endoscopic removal within 24 hours
4. Dislodge the coin to the stomach by inserting Ryle's tube

Correct answer: 3. Endoscopic removal within 24 hours

Explanation: Coins can be observed for upto 24 hours hoping that it passes into stomach. If it still remains in esophagus endoscopic removal of coin is done.